Anitschow cells are found in all except:
1. Sickel cell aneamia
2. Thalassemia
3. Apthous ulcer
4. Rheumatic heart disease.

Correct answer: 2. Thalassemia

Explanation: In thalassemia hair pin cells , target cell are found.